Function of stria vascularis is?
1. Perilymph secretion
2. Endolymph secretion
3. Both perilymph and endolymph secretion
4. CSF secretion

Correct answer: 2. Endolymph secretion

Explanation: ANSWER: (B) Endolymph secretionREF: Dhingra 4th Ed Page 11, Scott-Brown's Otorhinolaryngology, Head and Neck Surgery 7th ed vol 1 page 3187, Guyton 12th ed page 637See ENT 2013 Session 1 for physiology of Perilymph and Endolymph